True about frostbite are all, except -
1. Occurs due to extreme cold
2. Formation of ice crystals within tissues
3. Rewarming is not done
4. Seen in fingers and toes

Correct answer: 3. Rewarming is not done

Explanation: IN CASE OF FROSTBITE , REWARMING IS THE FIRST LINE OF TREATMENT Frostbite It is due to freezing and formation of ice crystals which causes obstruction of blood supply within tissues. It occurs due to exposure to great extremes of cold (-2.5oC). Treatment : Rewarming Protection of the affected part Anti infetive measures have to be taken